Characteristic fallopian tube findings on sonography in pelvic inflammatory disease includes all except
1. Fallopian tube wall thickening.
2. Cog-wheel appearance in cross-section.
3. Color doppler shows less vascularity.
4. Distended tube filled with echogenic fluid.

Correct answer: 3. Color doppler shows less vascularity.

Explanation: Color doppler shows marked vascularity with low-impedance blood flow which reflects hyperemia.